Savita is 32 weeks pregnant presents in causality and diagnosed as a case of APH. Vitals are unstable with BP 80/60 which of the following is next step in M/n
1. Careful observation
2. Blood transfusion
3. Medical induction of labour
4. Immediate cesarean section

Correct answer: 2. Blood transfusion

Explanation: Ans. is b i.e. Blood transfusion